True about migraine
1. U/I pain
2. Throbbing type of pain
3. A/W Nausea & vomitting
4. All

Correct answer: 4. All

Explanation: K.D Tripathy essentials of medical pharmacology 7th edition . *Migraine is a mysterious disorder characterised by pulsating headache ,usually restricted to one side ,which comes in attacks lasting 4-48 hours and is often associated with nausea,vomiting,sensitivity to light and sound,vertigo,loose motion,flashes of light. Ref Harrison20th edition pg 2345